Indoor management of anorexia nervosa is done on priority patients with:-
1. Binging episodes
2. Weight for height less than 75% of normal
3. Amenorrhea
4. Depression

Correct answer: 2. Weight for height less than 75% of normal

Explanation: Treatment: Hospitalization (dehydration/electrolyte imbalance/ Significant weight loss, weight for height Less than 80% of normal) Behavioral therapy Cyproheptadine which stimulates appetite and SSRIS